A 38-year old lady presents with h/o backache. X-ray and MRI spine reveal collapse of D12 vertebra with normal intervertebral disc space. The LEAST likely diagnosis is:
1. Multiple myeloma
2. Osteoporosis
3. Tuberculosis
4. Metastasis

Correct answer: 3. Tuberculosis

Explanation: Imaging findings of TB spine or Pott's disease: Most commonly involves the anterior part of the vertebral bodies in the thoracic and lumbar region. Irregular, poorly marginated bone destruction in a vertebral body, with narrowing of the adjacent intervertebral disk. Extension of infection and bone destruction across the disk to involve the contiguous vertebral body. Collapses secondary to osteoporosis, multiple myeloma and metastases primarily involve the T11-L4 region. Primarily anterior wedging of the superior endplate of a vertebral body will be present. Ref: Clinical Imaging: An Atlas of Differential Diagnosis By Ronald L. Eisenberg, 2009, Page 1192, 1193.